Prerna (Responsible Parenthood strategy) has been launched in all districts of:
1. Punjab
2. Haryana
3. Himachal Pradesh
4. Rajasthan

Correct answer: 4. Rajasthan

Explanation: In order to help push up the age of marriage of girls and space the birth of children in the interest of health of young mothers and infants, JSK launched PRERNA, a Responsible Parenthood strategy in all districts of seven high focus states namely Bihar, Uttar Pradesh, Madhya Pradesh, Chhattisgarh, Jharkhand, Odisha and Rajasthan. The strategy has been to identify the couple and award couples who have broken the stereotype of early marriage, early childbirth and repeated child birth and have helped change the mindsets of the community. Prerna Scheme In order to become eligible for award under the scheme, the girl should have been married on or after 19 years of age and given birth to the first child after at least 2 years of marriage. The couple will get an award of Rs.10,000/- if it is a Boy child or Rs.12,000/- if it is a Girl child. If birth of the second child takes place after at least 3 years of the birth of first child and either parent voluntarily accept permanent method of family planning within one year of the birth of the second child, the couple will get an additional award of Rs.5,000/- (Boy child) / Rs.7,000/- (Girl child). The amount of award will be given to the beneficiaries in their Aadhar linked account through DBT. The scheme is meant only for BPL families. Eligibility Conditions for Prerna Couple: Couple must belong to BPL. Year of marriage of women should not before year 2011. The woman should have been married on or after 19 years. First child birth occurs after at least 2 years of marriage. Second Child birth occurs after at least 3 years of the birth of 1st child. Either parent voluntarily accepts permanent method of family planning within one year of the birth of the 2nd child. If above conditions (1-4) are fulfilled then the quantum of award would be: Rs. 10,000/- if one boy child is born to the couple. Rs. 12,000/- if one girl child is born to the couple. If above conditions (1-6) are fulfilled then the quantum of award would be: Rs. 15,000/- if two boy child is born to the couple. Rs. 17,000/- if one girl and one boy child is born to the couple. Rs. 19,000/- if two girl child born to the couple.